The following is responsible for relaxation
1. Actin
2. SERCA
3. Both
4. None

Correct answer: 2. SERCA

Explanation: SERCA is a calcium channel protein It causes relaxation by storing calcium Ref:Guyton and Hall textbook of medical physiology 12th edition,page number:86,87